Inventory of material means which one of the following –
1. List of items procured
2. Stock distrubuted during a period
3. The quantum of material ordered for
4. Stock on hand at any given time

Correct answer: 4. Stock on hand at any given time

Explanation: An inventory of material usually refers to the stocks of goods held by a company.
It is the list of goods owned (not procured)